Most common cause of esophagitis is
1. Alcohol
2. Smoking
3. Spicy and hot food
4. Esophageal reflux

Correct answer: 4. Esophageal reflux

Explanation: Ans is 'd' i.e. Esophageal reflux "Reflux esophagitis is the most common type of esophagitis. It occurs in patients with gastroesophageal reflux disease (GERD) secondary to dysfunction of the lower esophageal sphincter. " "Candidal esophagitis is the most common form of infectious esophagitis."-The Washington manual of surgical pathology pi 65